Sumatriptan is used in -
1. Glaucoma
2. Migraine
3. Hypertension
4. Opioid withdraw

Correct answer: 2. Migraine

Explanation: Ans. is 'b' i.e., Migraine o Administered at the onset of an attack sumatriptan is as effective and better tolerated than ergotamine. o It tends to suppress nausea and vomiting of migraine, while ergotamine accentuates these symptoms. o Mechanism of action : 1. In migraine, there is throbbing headache due to dilatation of pain sensitive arteries outside the brain (extracerebral) Sumatriptan provides relief by 5-HT 1D/1B receptor mediated constriction of dilated cranial extracerebral vessels. 2. In migraine, there is perivascular neurogenic inflammation occurs due to realease of endogenous neurotransmitter -->sumitriptan inhibit neurotransmitter release.